A patient is a known case of thalassemia major and is on repeated packed RBC transfusion. She is on iron chelators and has history of arrythmias. During the current BT, she has backache and looks very anxious. The next management is?
1. Observe for change in colour of urine
2. Continuous BT and perform ECG
3. Stop BT and wait for patient to become normal and then restart BT
4. Stop BT and perform clerical check of blood group

Correct answer: 4. Stop BT and perform clerical check of blood group

Explanation: Mismatched Blood Transfusion: Clerical ERROR is the most common cause